Eczema herpaticum is -
1. A form of eczema
2. Viral infection
3. Bacterial infection
4. Fungal infection

Correct answer: 2. Viral infection

Explanation: Ans. is 'b' i.e., Viral infection Eczema herpaticum (Kaposi Varicelliform eruptions)o It is a rare disseminated form of viral infection on sites of skin damage produced by diseases like atopic dermatitis, bums etc. it is more common in children.Viruses causing eczema herpaticumo HSV 1 & 2(MC)o Vaccinia vimso Coxsackievirus A16o Small pox vaccination (Eczema vaccinatum)Precipitating factorso Most common precipitating factor in eczema herpaticum (Kaposi varicelliform eruption) is atopic dermatitis. Other diseases which can precipitate are Burn, Psoriasis, Darrier's Disease, Sezary Syndrome, Icthyosis Vulgaris, Mycosis Fungoides, Dyskeratosis Follicularis, Cathelicidin Deficiency, Hailey Hailey Disease.